Hydrocution term is used for-
1. Dry drowning
2. Wet drowning
3. Near drowning
4. Immersion syndrome

Correct answer: 4. Immersion syndrome

Explanation: Ans- (Immersion syndrome) (3.63-3.64-P)Immersion syndrome (vagal inhibition) - Death results from cardiac arrest due to vagal inhibition as a result of(a) Sudden impact with the very cold water.(b) Falling or diving into water with feet first or duck diving by the inexperienced.(c) Horizontal entry into the water with a consequent impact on the epigastrium.